Air on X-rays appears -
1. White
2. Black
3. Grey
4. None of the above

Correct answer: 2. Black

Explanation: Ans. is 'b' i.e., Black o Structures that are dense (such as bone) will block most of the x-ray particles, and will appear white.o Metal and contrast media (special dye used to highlight areas of the body) will also appear white.o Structures containing air will be black, and muscle, fat, and fluid will appear as shades of gray.